Double blind study means
1. Observer is blind about the study
2. Person or group being observed is blind about the study
3. Both observer and observed group is blind
4. Interpreters and analysers are blind about the study

Correct answer: 3. Both observer and observed group is blind

Explanation: Ans: cRef: Park, 17th ed, p. 73 & 18th ed, p. 77